An advantage of Indirect ophthalmoscope over direct ophthalmoscope include
1. Erect image
2. Binocular view
3. Higher magnification
4. The instrument is smaller size

Correct answer: 2. Binocular view

Explanation: Direct ophthalmoscope has the following advantages over indirect ophthalmoscope: easily portable, virtual and erect image and larger magnification (15X).Indirect ophthalmoscope has the following advantages: binocularity, higher field of view and the presence of teaching mirror.